All are ECG findings in Wolf Parkinson's white syndrome, except-
1. Narrow QRS complexes
2. Normal QT interval
3. Slurred and tall QRS
4. Decreased PR interval

Correct answer: 1. Narrow QRS complexes

Explanation: Wpw syndrome : short PR interval , QRS more than 120 msec , delta wave When an individual is in normal sinus rhythm, the ECG characteristics of WPW are a short PR interval (less than 120 milliseconds in duration), widened QRS complex (greater than 120 milliseconds in duration) with slurred upstroke of the QRS complex, and secondary repolarization changes (reflected in ST segment-T wave changes) In individuals with WPW, electrical activity that is initiated in the SA node travels through the accessory pathway, as well as through the AV node to activate the ventricles both pathways. Since the accessory pathway does not have the impulse slowing properties of the AV node, the electrical impulse first activates the ventricles the accessory pathway, and immediately afterwards the AV node. This gives the short PR interval and slurred upstroke of the QRS complex known as the delta wave Ref Davidson 20th ed eg 1411